In a normal person at resting condition GFR is:
1. 125 ml/min
2. 90 ml/min
3. 60 ml/min
4. 150 ml/min

Correct answer: 1. 125 ml/min

Explanation: A i.e. 125mliminGFR in an normal person at resting condition is 125m1/nin or 7.5 I/hour or 180L/dayQ. Whereas the normal urine volume is about 1L/day. Thus 99% of filtrate is reabsorbed.